True about generator potential?
1. Graded
2. All or none
3. Propagated
4. No summation

Correct answer: 1. Graded

Explanation: Ans. is 'a' i.e., GradedGenerator potential is a local potential with following features :i) Graded in nature (not follows all or none law) :- Its magnitude depends upon the intensity of stimulus, (amount of neurotransmitter released) i.e., it increases in graded manner if the intensity of stimulus is increased. On the other hand, action potential is not-graded and is an all or none change, i.e., either all of the action potential is seen or not at all.ii) Not-self propagated (Action potential is self propagated)iii) Travels with decrement (Action potential travels without any decrement)iv) May or may not followed by an effect (action potential, once developed, always has an effect).